Burst - suppression EEG pattern is seen in all of the following, Except?
1. Hypoxic ischemic encephalopathy
2. Phenobarbital administration to lower ICP in traumatic brain injury
3. Severe Hypothermia
4. Creutzfeldt Jacob disease

Correct answer: 4. Creutzfeldt Jacob disease

Explanation: Answer is D (Creutzfeldt Jakob disease): Creutzfeldt Jakob disease is associated with periodic sharp wave complexes of a frequency of about 1/second. CJD is typically not associated with Burst suppression pattern on EEG.